Telefona
1. Pulling of hair
2. Beating on soles
3. Beating on both ears
4. Beating on head

Correct answer: 3. Beating on both ears

Explanation: C i.e. Beating of both ears Telefona is simultaneous beating of both ears by both palms of hands, which may lead to torn external ear, rupture of tympanic membrane causing pain, bleeding & hearing loss.